Oral contraceptive pill is useful in preventing all the following except
1. Carcinoma breast
2. Carcinoma ovary
3. Pelvic inflammatory disease
4. Anaemia

Correct answer: 1. Carcinoma breast

Explanation: Health benefits of oral contraceptive pill: lower the risk of endometrial and ovarian carcinoma, reduced menstrual blood loss thus anemia and reduces endometriosis and pelvic inflammatory disease. It causes an increased incidence of breast cancer Ref.Essentials of medical pharmacology TD Tripathi 7th edition page no.326